Anaesthetic agent which is explosive in the presence of cautery :
1. Nitrous oxide
2. Ether
3. Trilene
4. Halothane

Correct answer: 2. Ether

Explanation: Ether is an explosive agent and should not be used with cautery.